A patient with ptosis, upper 4 mm of cornea is covered by upper eyelid. Grade of Ptosis is ?
1. Mild
2. Moderat
3. Severe
4. Profound

Correct answer: 1. Mild

Explanation: Ans. is 'a' i.e., Mild In unilateral cases of ptosis, difference between the vertical height of palpebral fissures of the two sides indicates the degree of ptosis. In bilateral cases it can be determined by measuring the amount of cornea covered by the upper eyelid and then substracting 2 mm. Depending upon its amount the ptosis is graded as - 1:1 Mild : 2 mm Moderate : 3 mm Severe : 4 mm In this question, 4 mm of cornea is covered by upper eyelid. Substracting 2 mm from this means there is 2 mm of ptosis, i.e. mild grade